Enophthalmos is seen in ?
1. Blow out fracture of orbit wall
2. Hyperthyroidism
3. Radiation Injuries
4. Diabetes mellitus

Correct answer: 1. Blow out fracture of orbit wall

Explanation: Ans. is 'a' i.e., Blow out fracture of orbit wall Enophthalmos is seen in blow out fracture of orbit wall.